Acculturation is defined as –
1. Loss of culture sense
2. Isolation of two cultures
3. Fading away of culture
4. Mixing of two cultures when coming in contact

Correct answer: 4. Mixing of two cultures when coming in contact

Explanation: Acculturation 

Acculturation means "Culture contact", when there is contact between two peoples with different types of culture. There is diffusion of culture in both ways.
Various ways of culture contact are :
Trade and commerce
Industrialization
Propagation of religion
Education
Conquest